Cystinuria all of the following amino acids are excreted, except:
1. Cystine
2. Ornithine
3. Leucine
4. Arginine

Correct answer: 3. Leucine

Explanation: Ref. Textbook of Biochemistry for Medical Students. Page. 283
 
Cystinuria is an inherited metabolic disorder characterized by the abnormal movement (transport) in the intestines and kidneys, of certain organic chemical compounds (amino acids).

These include cystine, lysine, arginine, and ornithine. 
Excessive amounts of undissolved cystine in the urine (cystinuria) cause the formation of stones (calculi) in the kidney

Subtypes of cystinuria 

Type I cystinuria, there is a defect in the active transport of cystine and the amino acids (dibasic) lysine, arginine, and ornithine in the kidneys and small intestine.
Type II cystinuria, cystine and lysine transport is severely impaired in the kidneys and only somewhat impaired in the intestines
Type III cystinuria, kidney transport of cystine and lysine is defective; intestinal transport is normal